Water host required for schistosomiasis -
1. Fish
2. Cyclops
3. Snails
4. Crabs

Correct answer: 3. Snails

Explanation: Definite host - man Intermediate host-snail Causative agents of the disease schistosomiasis (refer pgno: 116 baveja 3 rd edition)